A direct-acting cholinomimetic that is lipid soluble and has been used in the treatment of glaucoma is:
1. Acetylcholine
2. Physostigmine
3. Pilocarpine
4. Neostigmine

Correct answer: 3. Pilocarpine

Explanation: Directly acting- Pilocarpine
Indirectly acting- Physostigmine